Which of the following is always present in a virus?
1. Enzymes
2. Envelop
3. RNA or DNA
4. All of the above

Correct answer: 3. RNA or DNA

Explanation: Ans. is 'c' i.e., RNA or DNA Viruses are obligate intracellular parasites.They lack enzymes necessary for protein and nucleic acid synthesis and are dependent for replication on the synthetic machinery of host cells - so, they cannot grow in cell free culture media.They do not have cellular organization - do not contain ribosome, ER, mitochondria etc.They contain only one type of nucleic acid, either RNA or DNA, never both.Virion may be enveloped or nonenveloped (naked).